All the following are true of de Quervain's Thyroiditis except -
1. Pain
2. Increased ESR
3. Increased radioactive iodine uptake
4. Fever

Correct answer: 3. Increased radioactive iodine uptake